Which of the following is not a component of superficial perineal pouch?
1. Sphincter urethrae
2. Buibospongiosus
3. Posterior scrotal nerves
4. Duct of bulbourethral glands

Correct answer: 1. Sphincter urethrae

Explanation: Ans. a. Sphincter urethrae (Ref: BDC 5/e vol-Il p361-64: Keith Moore 6/e p404-6; Gray's 40/e p1093-97)Sphincter urethrae is not a component of superficial perineal pouch."Root, crura and bulb of penis (corpus spongiosa and corpora cavernosa), bulbospongiosus muscle, ducts of bulbourethral gland, and posterior scrotal nerve/artervQ are contents of superficial perineal pouch.""Deep perineal pouch contains bulbourethral glands, membranous urethra, sphincter urethrae muscle (internal urethral sphincter) and dorsal nerve of penisQ."Urogenital Triangle (Region)Superficial Perineal PouchDeep Perineal Pouch* If lies between perineal fascia and perineal membrane, below perineal membrane (inferior fascia of urogenital diaphragm)* Limited superficially by deep perineal fascia.* It is superficial to the perineal membrane.* It is bounded superficially (inferiorly) by perineal membrane and deeply (superiorly) by endopelvic fascia of pelvic floor (diaphragm).Contents of Superficial Perineal PouchContents of Deep perineal pouchMalesFemalesMalesFemales* Ischiocavernosus* BulbospongiosusQ* Superficial transversus perinea* Ischiocavernosus* Bulbospongiosus* Superficial transversus perinei* Bulbar urethral glandQ* Membranous urethraQ* Urethra and vagina* Long perineal nerve from posterior cutaneous nerve of thigh* 3 branches of perineal nerve, i.e. posterior scrotal, branch to bulb and muscular br.* Long perineal nerve from posterior cutaneous nerve of thigh* 3 branch of perineal nerve, i.e. posterior labial nerve, branch to bulb and muscular br.* Sphincter urethrae muscleQ* Deep transverse perinea* Sphincter urethrae* Deep transverse perinei* Pudendal nerve* Dorsal nerve of penisQ* Perineal nerve* Pudendal nerve* Dorsal nerve of clitorisQ* Perineal nerve* Posterior scrotalQ and transverse perineal artery* 4 branches of artery of penis, i.e. deep and dorsal arteries of pens, urethral artery, and artery to bulb of penis* Posterior labial and transverse perineal artery* 4 branches of artery of clitoris, i.e. deep and dorsal artery of clitoris, urethral artery and artery to bulb of vestibule.* Internal pudendal vessels* Artery of penis* Stems of origin of 4 branches, i.e, deep and dorsal arteries of penis, urethral artery and artery to bulb of penis* Internal pudendal* Vessels* Artery of clitoris* Stems of origin of 4 branches, i.e, deep and dorsal arteries of clitoris, urethral artery and artery to bulb of vestibule* Ducts of bulbo urethral glandsQ* Root of penis including one corpus spongiosa and two corpora cavernosa* Greater vestibular glands and their ductsQ.* Body of clitoris including two in completely separated corpora cavernosa.